World Health Day of WHO is on
1. 7 April
2. 10 April
3. 11 April
4. 15 April

Correct answer: 1. 7 April